The disease which is not conditioned under integrated disease surveillance programme is?
1. TB
2. Meningoencephalitis
3. Cholera
4. Herpes Zoster

Correct answer: 4. Herpes Zoster

Explanation: The project development objective is to improve the information available to the government health services and private health care providers on a set of high-priority diseases and risk factors, with a view to improving the on-the-ground responses to such diseases and risk factors. Diseases conditions under the Regular Surveillance Program are, malaria, acute diarrhoeal diseases (cholera), typhoid, tuberculosis, measles, polio, road traffic accidents, plague, meningoencephalitis, respiratory hemorrhagic fevers.